Long and peaked a waves are seen in all except-
1. Tricuspid atresia
2. Ebsteins anomaly
3. Hyperkelamia
4. Right atrial enlargement

Correct answer: 3. Hyperkelamia

Explanation: ECG : left axis deviation in tricuspid atresia The common ECG findings in Ebstein anomaly include tall and broad P waves, prolonged PR interval, right bundle branch block pattern, fragmented QRS complex, and tachyarrhythmias due to accessory pathways usually present around the malformed TV. ECG Criteria of Right Atrial Enlargement Right atrial enlargement produces a peaked P wave (P pulmonale) with amplitude: > 2.5 mm in the inferior leads (II, III and AVF) > 1.5 mm in V1 and V2 Ref Harrison 20th edition pg 1476